Species identifications are done by
1. Precipitin test
2. Benzidine test
3. Spectroscopy
4. Neutron activation analysis (N.A.A.).

Correct answer: 1. Precipitin test

Explanation: Tests for species identification are Precipitin test, Latex agglutination test, Haem-agglutination inhibition test Ref: Krishan Vij textbook of forensic medicine, 5th edition pg : 54